According to federation dental lower left canine is designated as-
1. 32
2. 33
3. 42
4. 43

Correct answer: 2. 33

Explanation: According to FDI, left lower canine is designated as 33. Ref: K.S.Narayan Reddy's synopsis of Forensic Medicine and Toxicology ,29 th edition Chapter4.page no -60